AG2P1 to female has a history of previous preterm birth at 32 weeks. The percentage chances of preterm birth in this pregnancy are:
1. 5%
2. 10%
3. 15%
4. 25%

Correct answer: 3. 15%

Explanation: Ans. is c, i.e. 15%Ref. Williams Obs 24/e, p 841Recurrent spontaneous preterm births according to prior outcomeBirth outcomeSecond birth (<34 weeks) (%)First birth >=35 weeks5First birth <=34 weeks16First and second birth <=34 weeks41